Isosthenuria is seen in
1. Chronic renal failure
2. Diabetes insipidus
3. Congestive cardiac failure
4. Weil's disease

Correct answer: 1. Chronic renal failure

Explanation: Causes :
Chronic renal failure.
Administration of furosomide.
Hypercalcemia.